Renauld Braud phenomenon is seen is:
1. Candida albicans
2. Candida pscitasi
3. Histoplasma
4. Cryptococcus

Correct answer: 1. Candida albicans

Explanation: Ans. a. Candida albicans